All of the following are true about episcleritis except-
1. Seen in connective tissue disorder
2. Shows blanching with 2-5% phenylephrine
3. Seen in elderly
4. It may recur

Correct answer: 3. Seen in elderly

Explanation: Ans- C It is seen mostly in young adults with females 2 times more common than males. Episcleritis is a benign, self-limiting, recurrent, inflammation associated with connective tissue disorders.